The normal angle of the neck of the femur to shaft is approximately....
1. 105deg
2. 125deg
3. 145deg
4. 115deg

Correct answer: 2. 125deg

Explanation: The normal angle of the neck of the femur to the shaft is approximately 125deg. This is known as neck shaft angle or angle of inclination. This facilitates the movement at the hip joint, enabling the limb to move freely. Ref: Gray's Anatomy The Anatomical Basics of Clinical Practice 41 e pg 1348.